What is Sanchol?
1. Hormonal contraceptive
2. Cholera Vaccine
3. Nutritional supplement
4. Pesticide

Correct answer: 2. Cholera Vaccine

Explanation: Sanchol and MORCVAX are bivalent oral cholera vaccines based on serogroups O1 and O139. Ref: Park 21st edition, page 211.